In the treatment of femoral hernia Lockwood's operation refers to -
1. Low operation
2. High operation
3. Inguinal operation
4. Laparoscopic surgery

Correct answer: 1. Low operation